Pseudo aneurysms are most commonly due to -
1. Atherosclerosis
2. Trauma
3. Congenital deficiency
4. Infections

Correct answer: 2. Trauma